Hypersensitivity vasculitis usually involve
1. Arterioles
2. Post capillary venules
3. Capillaries
4. Medium sized arteries

Correct answer: 2. Post capillary venules

Explanation: Refer robbins 9/e p510, 8/e 515 Harrison 7/2128 Direct quote from Harrison 18th /2798; Postcapillary venules are most commonly involved vessels. Capillaries and arterioles are less frequent involved